Most common indication of liver transplant in children is:
1. Biliary atresia
2. Von Gierke disease
3. Tyrosinemia
4. Chronic viral hepatitis

Correct answer: 1. Biliary atresia

Explanation: A. Biliary atresia(Ref: Nelson's 20/e p 1975)Biliary atresia is the most common indication for liver transplantation in children, followed by metabolic and inborn disorders, autoimmune and familial cholestatic disorders, and acute hepatic necrosis.